All of the following cranial nerves contain Somatic Efferents, except?
1. VII Nerve (Facial nerve)
2. III Nerve (Occulomotor nerve)
3. IV Nerve (Trochlear nerve)
4. VI Nerve (Abducent nerve)

Correct answer: 1. VII Nerve (Facial nerve)

Explanation: Facial nerve does not contain Somatic Efferents.